Following delivery, uterus becomes a pelvic organ after:
1. 2 weeks
2. 4 weeks
3. 6 weeks
4. 8 weeks

Correct answer: 1. 2 weeks

Explanation: Ans. 2 weeks